TH2 cells secrete?
1. IL-2
2. IFN-g
3. IL-5
4. TNF-a

Correct answer: 3. IL-5

Explanation: Ans is 'c' i.e. IL-5 A. T helper - 1 (TH1) secretes - IL-2 and interferon - gB. T helper - 2 (TH2) secretes - IL-4, IL-5, IL-6, IL-13